Function of LCAT is:
1. Helps in cholesterol synthesis
2. Converts cholesterol to cholesterol ester
3. Helps in formation of chylomicrons
4. All of the above

Correct answer: 2. Converts cholesterol to cholesterol ester

Explanation: The cholesterol (cholesteryl) ester forms an integral part of HDLThe cholesterol from the peripheral tissues is trapped in HDL by a reaction catalyzed by LCATLecithin-cholesterol acyltransferase/ LCAT/ Phosphatidylcholine-sterol 0-acyltransferaseIt converts free cholesterol into cholesteryl ester (a more hydrophobic form of cholesterol)Which is then sequestered into the core of a lipoprotein particle, eventually making the newly synthesized HDL spherical and forcing the reaction to become unidirectional since the particles are removed from the surface.The enzyme is bound to high-density lipoproteins (HDLs) and low-density lipoproteins in the blood plasma